Which of these is the ONLY true statement regarding Caesarean section ?
1. Exteriorisation of uterus for repair of uterine incision is detrimental step and hence avoided
2. Two layer closure of uterine incision is associated with significantly less risk of scar rupture
3. All incidental uterine fibroids should be excised during LSCS
4. Lower segment caesarean has lower risk of scar dehiscence in next pregnancy compared to classical

Correct answer: 4. Lower segment caesarean has lower risk of scar dehiscence in next pregnancy compared to classical

Explanation: Advantages of exteriorization of uterus: An atonic uterus can be recognized quickly and massage applied. The incision and bleeding points are visualized more easily and repaired, Adnexal exposure is superior, and thus tubal sterilization is easier. Uterine closure in single or two layers does not significantly increase the incidence of scar rupture in next pregnancy Fibroids should not be excised during LSCS as a pregnant uterus is much more vascular and would lead to excessive bleeding. Myomectomy may be considered, though in expert hands, in cases of pedunculated sub serosal fibroids. LSCS has less risk of scar dehiscence than classical cesarean